Which of the following disease have incubation period > 10 days
1. Cholera
2. Influenza
3. Plague
4. Measles

Correct answer: 4. Measles

Explanation: Incubation period Period between exposure to an infection and the appearance of the first symptoms Measles - 10 days from exposure to onset of fever and 14 days to appearance of rash Cholera - Few hours up to 5 days, but commonly 1-2 days Influenza - 18 to 72 hrs Plague Bubonic - 2 to 7 days Septicemic - 2 to 7 days Pneumonic - 1 to 3 days Ref : Park's Textbook of Preventive and Social Medicine; 23rd edition - Page no: 147,154, 230, 295